TRUE ABOUT NON - COMPETITIVE INHIBITION IS ?
1. Km remains same ,Vmax decrease
2. Km increase , Vmax increase
3. Km decrease , Vmax increase
4. Km increase, Vmax increases

Correct answer: 1. Km remains same ,Vmax decrease

Explanation: ref : KD TRIPATHI 8TH ED